TRUE statement regarding use of adrenaline in anaphylactic shock is:
1. The usual dose is 0.5-1 mg by IM route
2. Cerebral hemorrhage never occurs as an adverse effect to epinephrine when used in treatment of anaphylactic shock
3. It is repeated after every 2-4 hours
4. Same solution can be given for SC as well as IV route

Correct answer: 1. The usual dose is 0.5-1 mg by IM route

Explanation: Ans. (A) The usual dose is 0.5-1 mg by IM route(Ref: KDT 8th/e p150)Adrenaline 0.5 ml of 1 :1000 solution (i.e., 0.5 mg) by i.m. route is drug of choice for anaphylactic shock. It can also be used by s.c. routeIf not responding, it can be repeated after 5 minutes (not 2-4 hours). In desperate circumstances i.v. route can be used but it must be diluted 10 times (i.e., 1 : 10000 concentration is used), therefore same solution cannot be utilized, However, in rare circumstances, i.v. adrenaline can result in cerebral hemorrhage due to uncontrolled rise in blood pressure.